Impression plaster containing potato starch is called:
1. Plaster of paris
2. Soluble plaster
3. Anti — expansion solution
4. Die stones

Correct answer: 2. Soluble plaster